Which of the following is true about the medial umbilical folds?
1. Contains the remnant of urachus
2. Overlies the obliterated umbilical arteries
3. Covers the inferior epigastric vessels
4. Runs from the umbilicus to the bladder apex

Correct answer: 2. Overlies the obliterated umbilical arteries

Explanation: The medial umbilical fold overlies the obliterated umbilical artery . The peitoneum of the lower anterior abdominal wall is raised into five folds that diverge as they descend from the umbilicus. These include One median umbilical fold overlies the median umbilical ligament and extends from the umbilicus to the apex of the bladder. It is a remnant of the urachus. Two medial umbilical folds overlie the median umbilical ligaments (obliterated umbilical arteries) . It passes from the internal iliac artery in the pelvis to the umbilicus. Two lateral umbilical folds overlie the inferior epigatric vessels below their entry into the rectus sheath. Ref: Gray's Anatomy 41st edition Pgno: 1077